Food poisoning in "Canned food" is usually due to:
1. Staphylococcus
2. Salmonella
3. Clostridia
4. Bacillus cereus

Correct answer: 3. Clostridia

Explanation: Clostridia